Safe period in rhythms method is : (In a female with 28 days menstrual cycle) :
1. Initial 14 days
2. Later 14 days
3. First and last 7 days
4. 10 to 21 days of the cycle

Correct answer: 3. First and last 7 days

Explanation: First and last 7 days